According to Heel effect:
1. High intensity x-rays are found at cathode.
2. Low intensity x-rays are found at anode.
3. Both of the above.
4. None.

Correct answer: 3. Both of the above.

Explanation: According to “Heel effect”, when cathode rays strike anode target, X-rays with high intensity are found towards cathode side of central ray and X-rays with low intensity are found towards anode. This is due to self absorption of photons in the anode target.